Jit equilibrium the concentrations of Cl- inside and outside a cell are 8 mmol/L and 120 mmol/L, respectively. The equilibrium potential for Cl- at 37degC is calculated to be:
1. +4.07 mV
2. -4.07 mV
3. +71.7 mV
4. -71.7 mV

Correct answer: 4. -71.7 mV

Explanation: Ans. D. -71.7mVBy substituting in the Nernst equationEi-Eo=61/-1xlog10120/8=-61x1.176=-71.7mV inside the cell.Note that for Cl-, the value for z (valence) is -1